Blood is produced in first six months in fetus in?
1. Liver
2. Spleen
3. Bone marrow
4. None

Correct answer: 1. Liver

Explanation: Ans. is 'a' i.e., LiverErythropoiesis sitesIntrauterine0-10 weeks - Yolk sac10 weeks - 5 months - Liver (major organ) and spleen5 month onward - Bone marrowAfter birthUpto 20 years - Bone marrow of all bones After 20 years - Flat bones of axial skeletal and proximal end of humerus and femur.